At what gestation in pregnancy, does uterus become palpable abdominally?
1. 10 weeks
2. 12 weeks
3. 14 weeks
4. 16 weeks

Correct answer: 2. 12 weeks

Explanation: At the end of 12 weeks, uterus becomes palpable abdominally